Mixed lymphocyte culture is used to indentify ?
1. MHC class I antigen
2. MHC class II antigen
3. B lymphocytes
4. T helper cells

Correct answer: 2. MHC class II antigen

Explanation: Ans. is 'b' i.e., MHC class II antigen Mixed lymphocyte culture is used to identify HLA H